The data presented below compares the results of a diagnostic test in the presence and absence of a disease.\r\n\r\n \r\n\r\n\r\nTest Result\r\nDisease Present\r\nDisease Absent\r\n\r\n\r\nPositive Test\r\n40\r\n5\r\n\r\n\r\nNegative Test\r\n10\r\n95\r\n\r\n\r\nTotal\r\n50\r\n100\r\n\r\n\r\n\r\n\r\n \r\nThe specificity of the test is?
1. 0.05
2. 0.4
3. 0.8
4. 0.95

Correct answer: 4. 0.95

Explanation: Specificity is the proportion of persons without the disease who are correctly identified by the test as being disease-free. It is given by TN/(FP + TN), where TN stands for true negatives (people who do not have the disease and test negative on the test) and FP stands for false positives (people who do not have the disease but test positive on the test). In this case, 95/(5 + 95) = 95/100=0.95.